Drug excretion through kidney depends on all, EXCEPT
1. High blood flow in kidney
2. Molecular weight of drug
3. Lipid solubility of drug
4. Plasma protein binding of drug

Correct answer: 2. Molecular weight of drug

Explanation: Ans. is 'b' molecular weight of the drug The amount of drug excreted by the kidney depends on 3 factors:- Glomerular filtration, tubular reabsorption, tubular secretion.Glomerular filtrationIt depends upon Plasma protein binding - Only unbound form is excreted. Renal blood flow - G.F.R. increase with increase in renal blood flow.Tubular reabsorptionThis depends uponLipid solubility of the drug - Nonlipid soluble drugs are excreted more Ionization of the drug - highly ionized drugs are excreted moreTubular secretionIt is the active transfer of organic acids and bases by two separate nonspecific mechanisms